All of the following conditions are contraindicated or likely to women in a case of Primary Open Angle glaucoma, when treated with Timolol maleate 0.5% eye drops, except –
1. Hypertenison
2. Hypercholesterolemia
3. Depression
4. Bronchial asthma

Correct answer: 1. Hypertenison

Explanation: Actually, amongst the given options only bronchial asthma is a contraindication for topical β-blockers.
β-blocker should be avoided in depression and hypercholesterolemia as these are the side effects of topical β-blockers.
So, best answer here is hypertension as timolol causes hypotension.